The drug treatment in a female with complaints of occasional amenorrhea and milk ejection 5yrs after her last baby is born
1. Cabergoline
2. Atosiban
3. Methysergide
4. Ergotamine

Correct answer: 1. Cabergoline

Explanation: Cabergoline,pergolide,bromocriptine(Dopamine agonists) are used for hyperprolactinomaRef: KDT 6th ed P 236